Collagen most abundant in Hyaline cartilage
1. Type I
2. Type II
3. Type III
4. Type IV

Correct answer: 2. Type II

Explanation: Hyaline cartilage is a unique connective tissue ideally suited to serve as an elastic shock absorber and wear-resistant surface It lacks a blood supply and does not have lymphatic drainage or innervation it is composed of water (70%), type II collagen (10%), proteoglycans (8%), and chondrocytes ref robbins 9th ed page 1208